Essential criteria for TOF includes all, EXCEPT:
1. Valvular stenosis
2. Infundibular stenosis
3. Over riding of aorta
4. RVH

Correct answer: 1. Valvular stenosis

Explanation: ToF is the most common cyanotic congenital heart malformation and one of the first complex lesions to be successfully repaired. ToF occurs in 7% to 10% of children with CHD. The four characteristic findings in ToF are (1) a malaligned VSD, (2) RV outflow or pulmonary valve or artery stenosis or atresia, (3) a dextroposed overriding aorta, and (4) RV hypertrophy. Valvular stenosis is not a essential criteria for TOF. Ref: Aboulhosn J.A., Child J.S. (2011). Chapter 84. Congenital Heart Disease in Adults. In V. Fuster, R.A. Walsh, R.A. Harrington (Eds), Hurst's The Heart, 13e.